Which of the following has highest content of polyunsaturated fatty acid
1. Groundnut oil
2. Safflower oil
3. Sunflower oil
4. Coconut oil

Correct answer: 2. Safflower oil

Explanation: Safflower oil has highest content of PUFA followed by sunflower oil.